RMNCH+A Strategy, Goals for 2017 are all except
1. Reduction of IMR to 25
2. Reduction of MMR to 100
3. Reduction of TFR to 2.1
4. Reduce anemia in adulescents at 6% annual rate

Correct answer: 4. Reduce anemia in adulescents at 6% annual rate

Explanation: Ans. is 'd' i.e., Reduce anemia in adolescents at 6% annual rate Reduce anemia at 6% annual rate in adolescent is coverage target ( not goal) for RMNCH + A Goals and Targetshe 12'h Five Year Plan has defined the national health outcomes and the three goals that are relevant to RMNCH+A strategic approach are as follows :Reduction of Infant Mortality Rate (IMR) to 25 per 1,000 live births by 2017.Reduction in Maternal Mortality Ratio (MMR) to 100 per 100,000 live births by 2017.Reduction in Total Fertility Rate (TFR) to 2.1 by 2017.